X-ray chest in a neonate may show 'ground glass' haziness in all the folowing conditions EXCEPT:
1. Obstructed TAPVC
2. Hyaline membrane disease
3. Left-to-right shunt
4. Staphylococcal pneumonia

Correct answer: 3. Left-to-right shunt

Explanation: Ans. c (Left-to-right shunt). (Ref. Grainger's Diagnostic Radiology, 4th en., 492, 590, 600, 602, 667, 596, 597)# Left-to-right shunt produces hyperemic lung fields.# As Hyaline membrane disease (HMD) progresses, influx of plasma renders the lungs more radio-opaque, reticulogranular shadowing becomes more confluent and ground glass haziness is seen with loss of clarity of diaphragm and heart.# In staphylococcal pneumonia, later in disease more homogenous opacification of lung fields may occur, although pneumatoceles are classical of it.- Ground-glass appearance is also a feature of infracardiac TAPVC.- Ground-glass haziness, especially in adults is also seen in interstitial lung diseases.